Magnan phenomenon is associated with which of the following drug use?
1. Cocaine
2. Cannabis
3. Alcohol
4. Tobacco

Correct answer: 1. Cocaine

Explanation: Magnan phenomenon is another name for cocaine bugs, which are tactile hallucinations where in a patient who is intoxicated with cocaine feels as if small insects are crawling under the skin Cocaine Bugs It occurs as a part of cocaine induced psychotic disorder Here the patient will have sensations of bugs crawling beneath the skin which is known as formication